Which of the following is not true about Juvenile rheumatoid arthritis?
1. Fever
2. Uveitis
3. Rheumatoid nodules
4. Raynaud's phenomenon

Correct answer: 4. Raynaud's phenomenon

Explanation: Juvenile idiopathic arthritis is characterized by chronic arthritis involving one or more joints for at least 6-12 weeks. It can be of four types such as: oligoarticular, polyarticular, systemic, and enthesitis-associated. Fever and uveitis are associated with these types of juvenile rheumatoid arthritis. Ref: CURRENT Diagnosis and Treatment: Pediatrics, 20th Edition, Chapter 27